Gene responsible for pathogenesis of H pylori
1. Cag A
2. Cag B
3. Tax A
4. Hbx

Correct answer: 1. Cag A

Explanation: Cytotoxic: products of two genes namely cytotoxin- associated gene A(cagA) and vacuolating agent(vacA) gene cause gastritis, peptic ulceration and cancer GENERAL AND SYSTEMIC PATHOLOGY RAMDAS NAYAK FIRST EDITION PAGE 379